All of the following arteries supply pancreas EXCEPT:
1. Gastroduodenal artery
2. Superior mesenteric artery
3. Inferior mesenteric artery
4. Pancreatic branch of splenic artery

Correct answer: 3. Inferior mesenteric artery

Explanation: Ans. C Inferior mesenteric arteryRef: BDC, vol II pg. 286-287* Superior pancreatoduodenal artery from gastroduodenal artery and the inferior pancreatoduodenal from superior mesenteric artery supplies the head of the pancreas.* Pancreatic branch of splenic artery also supplies the neck, body and tail.* Inferior mesenteric artery supplies the left one third of transverse colon, the descending colon, sigmoid colon, rectum and upper part of anal canal.